"Birbeck granules" are seen in
1. Melanosomes
2. Lamellar bodies
3. Keratohyalin granules
4. Langerhan cells

Correct answer: 4. Langerhan cells

Explanation: "Tennis racket" shaped Birbeck granules are seen in Langerhan cells, which are antigen presenting cells present in epidermis.